Investigation of choice for invasive amoebiasis is:
1. Indirect hemagglutination
2. ELISA
3. Counter immune electroporesis
4. Microscopy

Correct answer: 2. ELISA